All the following have antioxidant action except:
1. Vitamin A
2. Vitamin E
3. Selenium
4. Vitamin D

Correct answer: 4. Vitamin D

Explanation: Ans: d (Vitamin D) Ref: Vasudevan Sreekumari, 6th edi., pg. 241Antioxidants are: Vitamin E (most effective naturally occurring antioxidant) Vitamin C, ceruloplasmin, caffeine, selenium Vitamin A (Beta carotene), cysteine, glutathione are minor antioxidantsAntioxidants used as therapeutic agentsVitamin C, vitamin E, dimethyl thiourea, dimethyl sulfoxide, allopurinolCommercial use of antioxidantsAntioxidants are regularly used in food industry to increase the shelf life of products. They prevent oxidative damage of oils, particularly those containing PUFA and prevent rancidity.